Not seen in Neuroblastoma is -
1. Diarrhoea
2. Proptosis
3. Splenomegaly
4. Bone involvement

Correct answer: 3. Splenomegaly